Part of brain involved in narcolepsy -
1. Neocortex
2. Hypothalamus
3. Cerebellum
4. Putamen

Correct answer: 2. Hypothalamus